The activity of this plasma enzyme is responsible virtually for all plasma cholesterol esters in humans:
1. Lecithin cholesterol acyl transferase (LCAT)
2. Pyrophospho mevalonate decarboxylase
3. HMG CoA reductase
4. Phospho mevalonate kinase

Correct answer: 1. Lecithin cholesterol acyl transferase (LCAT)